How much is the risk of ovarian cancer increased above normal in a woman with non autosomal dominant genotype with one first degree relative with ovarian cancer :
1. 2 - 3 times
2. 5 times
3. 10 times
4. 20 times

Correct answer: 1. 2 - 3 times

Explanation: 2 - 3 times